Pure aryans have which type of skull :
1. Mesaticephalic
2. Brachycephalic
3. Dolicocephalic
4. None of the above

Correct answer: 3. Dolicocephalic

Explanation: C i.e. Dolicocephalic